An intern while doing venesection at lower limb could injure -
1. Sural nerve
2. Saphenous nerve
3. Common peroneal nerve
4. Tibial nerve

Correct answer: 2. Saphenous nerve

Explanation: Ans. is 'b' i.e., Saphenous nerve o Venesection of lowrer limb is usually done in great saphenous vein, which is accompanied by saphenous nerve.